Amino acid carrying ammonia from muscle to liver ?
1. Alanine
2. Glutamin
3. Arginine
4. Lysine

Correct answer: 1. Alanine

Explanation: Ans. is 'a' i.e., Alanine